A lady presents with right knee swelling. Aspiration was done in which CPPD crystals were obtained. Next best investigation is :
1. ANA
2. RF
3. CPK
4. TSH

Correct answer: 4. TSH

Explanation: TSH Finding CPPD crystal in aspirated synovial fluid is diagnostic of CPPD arthropathy. CPPD arthropathy in some patients may be associated with : - Primary hyperparathyroidism - Hypothyroidism - Hemochromatosis - Hypomagnesemia - Hypophosphatasia ANA (antinuclear antibody) is for SLE, RF (rheumatoid factor) is for rheumatoid arthritis and CPK (creatinine phosphokinase) is raised in dermatomyositis & polymyositis. So, among the given option only TSH is the relevant investigation in context of CPPD arthropathy as it may be associated with hypothyroidism. Hypothyroidism is more common in females. For further explanation of CPPD please refer to Nov 09 (Ortho)